Drugs which can cause pseudolymphoma are all except:
1. Phenytoin
2. Furosemide
3. Diphenhydramine
4. Procainamide

Correct answer: 2. Furosemide

Explanation: Furosemide